Two solutions with equal osmotic pressures are
1. Isotonic solution
2. Hypertonic solution
3. Hypotonic solution
4. Normal solution

Correct answer: 1. Isotonic solution

Explanation: Ans: a (Isotonic solution) Ref: Gcmong 22nd ed/p.5Osmosis: - The diffusion of solvent molecules into a region in which there is a higher concentration of a solute to which the membrane is imperme-able.Osmotic pressure: - The pressure necessary to prevent solvent migration is the osmotic pressure of the solution.